Most common cause of biliary stricture is:-
1. CBD stone
2. Trauma
3. Asiatic cholangitis
4. Congenital

Correct answer: 2. Trauma

Explanation: MC cause of benign biliary stricture is laparoscopic cholecystectomy (operative trauma).